Which Antibody has highest molecular weight
1. IgG
2. IgE
3. IgD
4. IgM

Correct answer: 4. IgM

Explanation: IgM has highest molecular weight.